Green discharge is most commonly seen with -
1. Duct papilloma
2. Duct ectasia
3. Retention cyst
4. Fibroadenosis

Correct answer: 2. Duct ectasia